Bronchial Asthma is characterized
1. Inflammatory disease of airway
2. Allergic disease of air way
3. All
4. Hyper responsive ness of airway

Correct answer: 3. All

Explanation: Asthma is associated with a specific chronic inflammation of the mucosa of the lower airways.The airway inflammation in asthma is associated with airway hyperresponsiveness(AHR).Patients with asthma commonly suffer from other atopic diseases,particularly allergic rhinitis,which may be found in over 80% of asthmatic patients,and atopic dermatitis.The allergens that lead to sensitisation are usually proteins that have protease activity,and the most common allergens are derived from house dust mites,cat and dog fur,cockroaches,grass and tree pollens,etc. Reference:Harrison' s medicine-18th edition,page no:2102,2104.